Salivary amylase is activated by
1. Na+
2. K+
3. HCO3-
4. Cl-

Correct answer: 4. Cl-

Explanation: Both salivary and pancreatic α -amylases are activated by Cl–